Most common cause of extracranial solid tumor in children:
1. Neuroblastoma
2. Wilm'stumor
3. Thymoma
4. Osteosarcoma

Correct answer: 1. Neuroblastoma

Explanation: Ans. (a) Neuroblastoma(Ref: Robbins 9th/pg 475-479)Neuroblastoma is the:Most common extracranial solid tumor of childhood QMost common abdominal tumor of childhood QMost frequendy diagnosed tumor of infancy (<1yr of age) Q